Environmental Manipulation which enable genes to express themselves readily is known as
1. Positive eugenics
2. Euthenics
3. Negative eugenics
4. Genetic Counselling

Correct answer: 2. Euthenics

Explanation: Eugenics (Sir Francis Galton): Is a social philosophy which advocates the improvement of human hereditary traits through various forms of intervention (Genetic Manipulation).
Euthenics: Deals with human improvement through altering external factors such as education and the controllable environment, including the prevention and removal of contagious disease and parasites, environmentalism, education regarding home economics, sanitation, and housing (Environmental Manipulation).